Who is the founder of Electron microscope?
1. Antonie Philips van Leeuwenhoek
2. Ernst Ruska
3. Robert Koch
4. Louis Pasteur

Correct answer: 2. Ernst Ruska

Explanation: Ernst August Friedrich Ruska was a German physicist who won the Nobel Prize in physics in 1986 for his work in electron optics, including the deign of the first electron microscope.